About Ectopia vesicae, following is true except ?
1. CA bladder may occur
2. Ventral curvature of penis
3. Incontinence of urine
4. Visible uretero - vesical efflux

Correct answer: 2. Ventral curvature of penis

Explanation: Answer is 'b' i.e. Ventral curvature of penis Ectopia vesicae is associated with epispadias in which dorsal or upwards curvatuve of penis is noted. Ventral curvature is noted in hypospadias.